Oedipus complex (given by sigmund freud) is seen in :
1. Boys of 1- 3 years of age
2. Girls of 1 - 3 years of age
3. Boys of 3 - 5 years of age
4. Girls of 3 - 5 years of age

Correct answer: 3. Boys of 3 - 5 years of age

Explanation: C. i.e. Boys of 3 - 5 years